In forceful expiration, which of the following neurons gets fired
1. VRG
2. DRG
3. Pneumotaxic centre
4. Chemoreceptors

Correct answer: 1. VRG

Explanation: Respiratory centres * Respiratory center is composed of a group of neurons located bilaterally in the medulla oblongata and pons. * The respiratory centers are Dorsal respiratory group:- Located in dorsal medulla and mainly causes inspiration Ventral respiratory group:- Locatedin ventrolateral medulla and mainly causes expiration. This area operates as an overdrive mechanism when high levels of pulmonary ventilation are required, especially during heavy exercise or forceful expiration Pneumotaxic center:- Located dorsally in the superior portion of the pons, and mainly control rate and depth of breathing Ref:- Ganong's review of medical physiology; pg num:- 502